Commonest complication of mumps is -
1. Orchitis and oophritis
2. Encephalitis
3. Pneumonia
4. Myocarditis

Correct answer: 1. Orchitis and oophritis

Explanation: Epididymo orchitis is a complication seen in about a third of post pubertal male patients. REF:ANATHANARAYAN AND PANIKER'S TEXTBOOK OF MICROBIOLOGY 9TH EDITION PAGE NO:508